True statement among the following
1. Half life of I125 is 60 days
2. Half life of I131 is 12 days
3. I131 is used in RIA for thyroid hormones
4. I125 is preferred over 123 for thyroid scan

Correct answer: 1. Half life of I125 is 60 days

Explanation: Other high yielding pointsI127 is stable iodine isotopeI-131 Has half-life of 8 daysThe gamma-emitting isotopes iodine-123 (half-life 13 hours) used as nuclear imaging tracers to evaluate the anatomic and physiologic function of the thyroid. Iodine-125 is commonly used by radiation oncologists in low dose rate brachytherapy in the treatment of cancer at sites other than the thyroid, especially in prostate cancer. When I-125 is used therapeutically, it is encapsulated in titanium seeds and implanted in the area of a tumour, where it remains. The low energy of the gamma spectrum, in this case, limits radiation damage to tissues far from the implanted capsule. Iodine-125, due to its suitable longer half-life and less penetrating gamma spectrum, is also often preferred for laboratory tests that rely on iodine as a tracer that is counted by a gamma counter, such as in radioimmunoassaying